Wood's lamp is not used for diagnosing:
1. Vitiligo
2. Porphyria
3. Pityriasis
4. Lichen planus

Correct answer: 4. Lichen planus

Explanation: Ans. D: Lichen planus Wood's lamp has many uses, both in distinguishing fluorescent conditions from other conditions and in locating the precise boundaries of the condition. It is also helpful in diagnosing: Fungal infections (Microsporum audouini). Some forms of tinea, such as Trichophyton tonsurans, do not fluoresce. Bacterial infections (Corynebacteriium minutissimum, Pseudomonas) Propionibacterium acnes, the bacteria responsible for acne, exhibits an orange glow under a Wood's lamp